Most common tumor to produce metastasis to cervical lymph nodes -
1. Glottic Ca
2. Nasopharyngeal carcinoma
3. Ca Base of tongue
4. Ca lip

Correct answer: 2. Nasopharyngeal carcinoma

Explanation: Ans is "b" i.e. Nasopharyngeal carcinoma Note: Glottic carcinoma never metastasizes to lymph nodes and carcinoma lip metastasizes rarely and very late